Hypopyon corneal ulcer is caused by
1. Pneumococcus
2. Pseudomonas
3. Herpes simplex
4. Neisseria gonorrhoeae

Correct answer: 1. Pneumococcus

Explanation: Since pneumococcus invariably causes hypopyoin, its called Hypopyon Corneal ulcer.